Which of the following advises is not given to a 35 years old female patient with recurrent renal stone
1. Increase water
2. Restrict protein
3. Restrict salt
4. Restricted calcium intake

Correct answer: 4. Restricted calcium intake

Explanation: Ans. d. Restricted calcium intake A source of calcium at each meal may actually help prevent oxalate stones from forming as the calcium binds with oxalate in food and thus prevents the oxalate from being absorbed into the bodyQ Dietary Modification in Stone Disease Increase Intake of FluidQ Dietary calciumQ Potassium and phytates Vitamin CQ Decrease Intake of OxalateQ Animal proteinQ Sucrose Fructose Sodium